Homicidal gunshot wound is suggested by the presence of :-
1. Multiple gunshot wounds of entry
2. Presence of gunpowder on hand
3. No sign of struggle
4. None

Correct answer: 1. Multiple gunshot wounds of entry

Explanation: Presence of gun powder is a feature of suicidal gunshot wound. Feature Suicidal Homicidal Site Head Anywhere Range Contact or very close range Any range Number of wounds One Any number Powder residue on hand PresentQ Absent Cadaveric spasm PresentQ Absent Weapon at the scene PresentQ Absent Others Due to insanity, illness. Suicidal note may be present Associated Crimes